The following is the finding seen in DIVC -
1. Increased fibrinogen, increased antithombin III, increased thrombin-antithrombin III complexes
2. Increased FDP, decreased PT, Increased antithrombin III
3. Increased FDP, prolonged PT, decreased thrombin-antithrombin complexes
4. Increased FDP, prolonged PT, reduced Platelets

Correct answer: 4. Increased FDP, prolonged PT, reduced Platelets